Henoch Schnolein Purpura may rarely cause -
1. Intussuception
2. Volvulus
3. Atrial fibrillation
4. Hernia

Correct answer: 1. Intussuception